Stylalgia may present with ear pain. Which nerve may refer the pain?
1. Auriculotemporal nerve
2. Posterior auricular nerve
3. Occipital nerve
4. Glossopharyngeal nerve

Correct answer: 4. Glossopharyngeal nerve

Explanation: Styalgia (aka) eagle syndrome Styloid process pressing on tonsillar fossa and glossopharyngeal nerve passing through here and glossopharyngeal nerve also supply to ear so can cause referred pain to ear.